All are true regarding Helicobacter pylori except
1. Less prevalent in developing countries
2. Toxicogenic strains usually causes ulcers
3. Urea breath test is positive
4. Gram negative organism

Correct answer: 1. Less prevalent in developing countries